Incisura terminalis is between
1. Tragus and crux of helix
2. Ear lobule and antihelix
3. Antihelix and external auditory meatus
4. Tragus and ear lobule

Correct answer: 1. Tragus and crux of helix

Explanation: There is no cartilage between tragus and crus of the helix and an incision made in this area will not cut through the cartilage and is used for the endaural approach in surgery of external auditory canal and mastoid.